The following statement is not true about sotolol
1. It is non selective Beta blocker
2. It prolongs the action potential duration throughout the heart
3. It is excreted through bile following hepatic metabolism
4. Polymorphic ventricular tachycardia is a common problem

Correct answer: 3. It is excreted through bile following hepatic metabolism

Explanation: Refer kDT 6/e 140,515 sotolol is a non selective Beta blocker (potassium channel blocker) class 3 antiarrhythmic property. It prolongs APD by blocking the cardiac potassium channels. Therefore prolongs QT interval and results in torsedes points ( polymorphic ventricular tachycardia) It is lipid insoluble Beta blocker that is excreted predominantly by kidney.